In a normal person which of the following occurs when he changes to supine position from standing
1. Cerebral perfusion increases
2. Heart rate settles to a higher level
3. Immediate increase in venous return
4. Decreased perfusion to the apex

Correct answer: 3. Immediate increase in venous return

Explanation: Venous return is decreased in standing posture due to pooling of blood in lower extremities and is maximum in lying down position. Ref: Textbook of medical physiology by N Geetha, 2nd edition, page no. 170